A person's X-ray chest showing homogenous opacity on right side with shifting of mediastinum on opposite side. Most probable diagnosis is/are:
1. Collapse
2. Pleural effusion
3. Pneumothorax
4. Consolidation

Correct answer: 2. Pleural effusion

Explanation: Answer- (B) Pleural effusionPneumonectomy chest (Early sip: within 24 hr): Partial filling of thorax, ipsilateral mediastinal shift & diaphragmatic elevation.Homogenous opacityShift of mediastinum to the opposite sideConcave upper border (Ellis's curve)